Acceptable or justifiable homicides are all, except:
1. Judicial execution
2. Self-defense
3. Preventing rape
4. Taking revenge

Correct answer: 4. Taking revenge

Explanation: Ans. Taking revenge